III perineal tear is involvement of -
1. Vaginal mucosa
2. Urethral mucosa
3. Levator animuscle
4. Anal Sphincter

Correct answer: 4. Anal Sphincter